Which converts Succinyl CoA to succinic acid?
1. Succinate thiokinase
2. Succinate dehydrogenase
3. Succinate
4. All of the above

Correct answer: 1. Succinate thiokinase

Explanation: Succinyl-CoA synthetases catalyze the conversion of succinyl-CoA to succinate and CoA in the citric acidcycle. The energy of the thioester bond is conserved through the coupled phosphorylation of nucleoside diphosphates such as ADP or GDP. However, the reverse reaction is also important for the anabolism. Ref biochemistry u. Satyanarayana 5/e p256